Most common site of ectopic pancreatic tissue is?
1. Stomach
2. Jejunum
3. Appendix
4. Hilum of spleen

Correct answer: 1. Stomach

Explanation: Stomach'Accessory pancreatic tissue may be anywhere from the distal end of the esophagus to the tip of the primary intestinal loop. Most .frequently, it lies in the mucosa of the stomach and in Meckel's diverticulum, where it may show all of the histological characteristics of pancreas itself' - Langman's Embryology